Management of infected pancreatic necrosis include all except:
1. Empirical antibiotics only
2. Percutaneous drainage under USG guidance
3. Nutritional support
4. Pancreatic necrosectomy

Correct answer: 1. Empirical antibiotics only

Explanation: Pancreatic necrosis: Non viable fat or pancreatic tissue in peri-pancreatic region Acute necrotic collection (ANC)- intra/extra pancreatic collection containing fluid and necrotic material, with no definable wall This may develop a well-defined inflammatory capsule over a period of 4 weeks- Walled-off necrosis (WON) Diagnosis- CT abdomen Management: Percutaneous drainage under CT/USG guidance with widest bore drain | Appropriate antibiotics should be started after culture of aspirate | If sepsis worsens, pancreatic necrosectomy is done Nutritional support is essential- parenteral & nasojejunal approaches